All of the following statements are true regarding Colostrum or breast milk except
1. Vitamin D is most abundant vitamin in breast milk
2. Taurine amino acid is present which is required for brain development
3. In comparison to cow's milk, human has higher lactose, iron and calcium - phosphate ratio
4. IgA is in high quantity

Correct answer: 1. Vitamin D is most abundant vitamin in breast milk

Explanation: Constituent Breast milk grammes per liter Cow milk grammers per lliter Proteins: 11 33 Casein 4 28 Soluble proteins 7 5 Lactalbumin 3.5 1.5 to 1.8 Beta-Lactaglobulin 0 3.7 Lactotransferrin 1 to 2 0.2 to 0.5 Immunoglobulin 1 to 2 0.5 Lysozyme 0.5 Traces Non Protein: Nitrogenous Substances 0.32 0.32 Lipids: 35 35 Linoleic acid 3.5 1 Carbohydrates 70 50 Lactose 62 50 Nitrogenous oligosaccharides 8 0 Minerals 2 8 Ca (Calcium) 0.33 1 P (Phosphorous) 0.15 1 Fe (Iron) 0.4 to 1.5 mg 0.3 to 0.5 mg Vitamins: 2 8 Ca (calcium ) 0.33 1 P (Phosphorous) 0.15 1 Fe (Iron) 0.4 to 1.5 ,g 0.3 to 0.5 mg Vitamins C 60 mg 20 mg D 50 IU 25 IU Energy: 640-720 Kcal 2670-3000 KJ 650 Kcal 2717 KJ EFA exclusively present is DHA required for brain development and myelination. Amino acid present for brain development is Taurine Vitamin most deficient in breast milk is Vit - D